Among the given viruses, which is best cultivated from urine?
1. Rubella
2. Norwalk
3. CMV
4. Mumps

Correct answer: 3. CMV

Explanation: Ans. is 'c' i.e.,CMV"Viral culture of the urine and saliva obtained within first two weeks of life continue to be the gold standard for diagnosis of Congenital CMV infection"